Which of the following inhalational agent is the induction agent of choice in children?
1. Methoxyflurane
2. Sevoflurane
3. Desflurane
4. Isoflurane

Correct answer: 2. Sevoflurane

Explanation: Methoxyflurane Nephrotoxic Has maximum chloride release. Sevoflurane Sweat smelling - administrable face mask. Induction and emergence form anesthesia are fast Desflurane :Has pungent odour, is less potent ,therefore higher concentration has to be used It can cause Air passage irritation Coughing Breathe holding Laryngospasm Isoflurane - mildly pungent Causes vasodilation while cardiac output is maintained. Good in patients with myocardial insufficiency Dilates coronaries - can cause coronary steal phenomenon in CAD patients